A patient presented with high frequency SNHL, Ipsilateral cerebellar ataxia. The site of lesion is
1. Pons
2. Cerebellopontine
3. Medullary
4. Thalamus

Correct answer: 2. Cerebellopontine

Explanation: (B) Cerebellopontine # Cerebellar limb ataxia results from disorders of the spinocerebellar and corticopontocerebellar inputs, the integrator of these inputs in the intermediate and lateral cerebellum, or the output to the spinal neurons (via the red nucleus and rubrospinal tract) or to the cortex. These pathways ensure adequate speed, fluency, and integration of limb movements. The lateral cerebellar hemisphe es coordinate a polysynaptic feedback circuit that modulates cortically initiated limb movement.